Absolute contraindication vaginal delivery-
1. Central placenta previa
2. Previous caesarian section
3. Breech presentation
4. Heart disease in pregnancy

Correct answer: 1. Central placenta previa

Explanation: Ans. is 'a' i.e., Central placenta previa o Central placenta previa is an absolute indication caesarian section and an absolute contraindication for vaginal delivery.o Caesarian section is indicated for all women with sonographic evidence of placenta previa where the central edse is within 2 cm of the internal os. It is specially indicated if it is posterior or thick.